The following growth indicator may appear relatively normal in patients with chronic severe malnutrition
1. weight for height
2. height for age
3. weight for age
4. head circumference

Correct answer: 1. weight for height

Explanation: Height-for-age (or length-for-age for children <2 yr) is a measure of linear growth, and a deficit represents the cumulative impact of adverse events, usually in the first 1,000 days from conception, that result in stunting, or chronic malnutrition. A low height-for-age typically reflects socioeconomic disadvantage. A low weight-for-height, or wasting, usually indicates acute malnutrition. Conversely, a high weight-for-height indicates overweight. Weight-for-age is the most commonly used index of nutritional status, although a low value has limited clinical significance as it does not differentiate between wasting and stunting. Weight-for-age has the advantage of being somewhat easier to measure than indices that require height measurements. In humanitarian emergencies and some field settings, mid-upper arm circumference is used for screening wasted children